A 71-year-old man returns from the operating room (OR) after undergoing a triple coronary bypass. His initial cardiac index is 2.8 L/ (min*m2 ). Heart rate is then noted to be 55 beats per minute, BP is 110/80 mm Hg, wedge pressure is 15, and his cardiac index has dropped to 1.6 L/(min*m2 ). He has a normal left ventricle. Which of the following maneuvers will increase his cardiac output?
1. Increase his peripheral vascular resistance.
2. Increase his CVP.
3. Increase his heart rate to 90 by electrical pacing.
4. Increase his blood viscosity.

Correct answer: 3. Increase his heart rate to 90 by electrical pacing.

Explanation: The cardiac index is computed by dividing the cardiac output by the body surface area; the cardiac output is the product of the stroke volume and the heart rate ; therefore, . An increased heart rate will directly increase the cardiac output and cardiac index. The remaining choices will either decrease or not affect the stroke volume and consequently will not increase the cardiac index.